Which is the best way to manage a patient present with aspirin poisoning
1. Make urine acidic with NH4G1
2. Make urine alkaline with NaHCO3
3. Treat with N-acetyl cysteine
4. Do gastric lavage

Correct answer: 2. Make urine alkaline with NaHCO3

Explanation: Ans. (b) Make urine alkaline with NaHCO3Refi.KDT 6th ed. /16* Aspirin is an acidic drug, it readily crosses any acidic medium. To treat this toxicity, make the urine alkaline with NaHCO3.* Now, this acid drug can't be reabsorbed from the basic medium, and it readily gets excreted from the body.Also Know* In basic drug poisoning like amphetamine, we acidify the urine with NH4C1~ to change the medium, which opposes reabsorption and hence excretion.* N-acetyl cysteine is the DOC for paracetamol poisoning